The periodontal pocket principally contains
1. Living and degenerated leucocytes
2. Microorganisms, their products and debris
3. Gingival fluids and salivary mucin
4. Desquamated epithelial cells

Correct answer: 2. Microorganisms, their products and debris